Differentiation between epididymo-orchitis and torsion testis can be done with which of the following?
1. Grey scale US
2. Color Doppler US
3. Angiography
4. MRI

Correct answer: 2. Color Doppler US

Explanation: Ans BUSG is quick, easily available and can be used to rapidly confirm or rule out diagnosis of torsion testes. Epididymo- orchitis will show increased vascularity while torsion testes while appear pauci/avascular.